A 12 years old child presents with bilateral nasal polyps. His mother complains of a salty taste on child's skin while kissing. He should be investigated for:
1. Rhinosporidiosis
2. Mucoviscidosis
3. Angiofibroma
4. Antrochoanal polyp

Correct answer: 2. Mucoviscidosis

Explanation: Nasal polyposis Sinonasal manifestation of cystic fibrosis (Mucoviscidosis)--an autosomal recessive exocrinopathy that generally affects the lungs and digestive system. Cystic fibrosis affects the cells that produce mucus, sweat and digestive juices. It causes these fluids to become thick and sticky. They then plug up tubes, ducts and passageways. Symptoms include nasal airway obstruction, anosmia, rhinorrhea, and exacerbation of the rhinosinusitis Salt travels to the skin's surface with the water and is not reabsorbed. Because of this, the skin of a child abnormally salty. Parents may notice salty-tasting skin when they kiss the child. The polyps are probably a consequence of chronic inflammation Rx- Antibiotics, topical nasal steroids, decongestants, and mucolytics. Surgery is necessary when conservative measures fail. Bilateral (Ethmoidal) polyps are rare in children , whenever present, child should be investigated for any underlying condition. History of salty taste on kissing points suggest towards diagnosis of Mucoviscidosis (Cystic Fibrosis) and must be investigated.